Respiratory depression is caused by A/E -
1. Opium
2. Barbiturate
3. Strychnine
4. Gelsemine

Correct answer: 3. Strychnine

Explanation: Strychnine causes respiratory stimulation.
Other three options can cause respiratory depression